Extensive pleural thickening and especially involving the diaphragmatic pleura are classical feature of
1. Coal worker's pneumoconiosis
2. Asbestosis
3. Silicosis
4. Siderosis

Correct answer: 2. Asbestosis

Explanation: (Asbestosis) (263-CMDT- 08) (1612-14-H17th)ASBESTOSIS - is a nodular interstitial fibrosis occuring in asbestos workers and miners is characterized by a in exorably progressive dyspnea, inspiratory crackers and in some cases clubbing and cyanosis* Radiographic features - include interstitial fibrosis, thickened pleura and calcified plaque (pleural) on the diaphragm or lateral chest wall*** HRCT is the best imaging method*** Cigarette smoking in asbestos workers increases the incidence of lung carcinoma* PFT shows - restrictive dysfunction and diffusing capacity